A person who is running, the main source of energy he will be using in 1st min is:
1. Glucose
2. Glycogen
3. Fat
4. Phosphagen

Correct answer: 2. Glycogen

Explanation: "The major sources of energy in the 100-m sprint are creatine phosphate (first 4-5 sec) and then anaerobic glycolysis using muscle glycogen as the source of glucose."